The oropharyngeal and oesophageal candidiasis following long-term therapy with a broad spectrum antibiotic can be best treated with:
1. Griseofulvin
2. Amphotericin
3. Fluconazole
4. Sulfonates

Correct answer: 3. Fluconazole